A 70-year-old male presented with lumps felt in axilla. On examination, axillary lymphadenopathy was noted. Biopsy was planned with the following HPE. No RS cells were seen. Flow cytometry revealed CD15 and CD30 negative. Following the histopathological confirmation of the disease, the patient was started on chemotherapy regimen. After few days, the patient develops dysuria and urine examination was done. Supplementation of which drug could have prevented this condition?
1. Acrolein
2. Amifostine
3. Mesna
4. Dexrazoxane

Correct answer: 3. Mesna

Explanation: HPE reveals that patient is suffering from non-Hodgkin lymphoma and the chemotherapy includes R-CHOP regimen. R - CHOP regimen includes Rituximab Cyclophosphamide Hydroxydaunorubicin Oncovin or vincristine Prednisolone After starting R - CHOP regimen, the patient developed haemorrhagic cystitis due to acrolein metabolite of cyclophosphamide. Mesna assists in detoxifying acrolein metabolites and therefore, used in prevention of haemorrhagic cystitis due to cyclophosphamide.